If median nerve is injured at the wrist then loss of function of all of the following will take place except
1. Lumbrical muscles to the Index finger.
2. Lumbrical muscles to the middle finger.
3. Muscles of the thenar eminence
4. Adductor pollicis

Correct answer: 4. Adductor pollicis

Explanation: The median nerve in palm sends a recurrent branch to supply the thenar muscles. The median nerve in palm also supplies the first two lumbricals. The adductor pollicis is supplied by the deep branch of ulnar nerve in the palm.Reference: Clinical Anatomy for students, a problem-solving approach, Neeta v Kulkarni, 2nd edition, page no.175